There are electron dense deposits in the region of hyalinosis and sclerosis with diffuse loss of foot process seen in electron microscopy are features of-
1. Minimal change disease
2. Membranous glamerulonephritis
3. Membranoproliferative GN
4. Focal segmental glomerulosclerosis

Correct answer: 4. Focal segmental glomerulosclerosis

Explanation: Disease Pathogenesis Light Microscopy Fluorescence microscopy Electron microscopy Minimal-change disease podocyte injury Normal Negative Effacement of foot processes; no deposits Focal segmental glomerulosclerosis Unknown: reaction to the loss of renal mass. Focal and segmental sclerosis and hyalinosis Usually negative; IgM and C3 may be present in areas of scarring Effacement of foot processes; epithelial denudation Membranous nephropathy Insitu immune complex formation; PLA2R antigen in most cases of primary disease Diffuse capillary wall thickening and subepithelial "spike" formation Granular IgG and C3 along GBM Subepithelial deposits Membranoproliferative GN immune complex Membranoproliferative pattern; GBM splitting Granular IgG, C3, C1q, and C4 along GBM and mesangium subendothelial deposits Ref: ROBBINS BASIC PATHOLOGY 10th ed Pg no: 556